Pomphylox affects ?
1. Palms & soles
2. Groin
3. Scalp
4. Trunk

Correct answer: 1. Palms & soles

Explanation: Ans is 'a' i.e., Palms & soles POMPHOLYX An attack of pompholyx is characterized by the sudden onset of crops of clear vesicles, which appear 'sago-like'. Itching may be severe, preceding the eruption of vesicles. The attack subsides spontaneously in 2-3 weeks . In mild cases, only the sides of the fingers may be affected, but in a typical case the vesicles develop symmetrically on the palms and/or soles